A reduction in which of the following clotting factors is consistent with normal pregnancy?
1. Fibrinogen
2. Factor XIII
3. Factor VIII
4. Factor X

Correct answer: 2. Factor XIII

Explanation: Clotting factors that decrease during pregnancy are factor XI and XIII. Clotting factors increase during pregnancy are X, IX, VIII, VII, and II. Fibrinogen level is raised by 50% from 200-400 mg% in non-pregnant to 300-600 mg% in pregnancy. Ref: Dutta, 6th ed, Page 52